Total thyroidectomy done for a female . Following the surgery she developed stridor and dyspnea. The possible cause is:
1. Bilateral superior laryngeal nerve injury
2. Unilateral superior laryngeal nerve injury
3. Bilateral recurrent laryngeal nerve injury
4. Unilateral recurrent laryngeal nerve injury

Correct answer: 3. Bilateral recurrent laryngeal nerve injury

Explanation: Ans. (c) Bilateral Recurrent Laryngeal nerve InjuryRef: Bailey and Love 26th edition, page 761* Unilateral recurrent laryngeal nerve injury results in hoarseness* Bilateral recurrent laryngeal nerve injury results in Stridor